Automatism is typically seen in
1. Barbiturates
2. Cocaine
3. Choral hydrate
4. Opium

Correct answer: 1. Barbiturates

Explanation: Barbiturate Automatism (Self-poisoning) Definition : It is taking of barbiturate tablets repeatedly, because of mental confusion. Cause : The patient develops a state of toxic delirium after ingestion of one or several doses of drug, and inthe delirium or automatism state, takes additional doses of drug in order to get to sleep without any intention to commit suicide and without realising it. This can lead to accidental poisoning. CNS depressants and Alcohol are associated with the phenomenon of drug automatism. Medico-legal aspects : Barbiturate automatism may be more pronounced with alcohol consumption.